A teenager girl with moderate acne is also complaining of irregular menses. Drug of choice will be –
1. Oral isotretinon
2. Oral acitretin
3. Oral minocycline
4. Cyproterone acetate

Correct answer: 4. Cyproterone acetate

Explanation: This teenager girl has -


Moderate acne.
Irregular mensturation.


Cyproterone acetate along with estrogen (ethinylestranol) can be used because it has beneficial effect on both i.e. it regularizes menstural cycle as well as acts as antiandrogen therapy for acne.